Retinoblastoma gene is located on a chromosome -
1. 13
2. 6
3. 9
4. 21

Correct answer: 1. 13

Explanation: Location of retinoblastoma (RB) gene is 13 q 14
Deletion of a small number of tightly clustered genes result in a number of genetic disorders termed as microdeletion syndromes